The 'Key hole' pattern appearance in the cross section is feature of
1. Aprismatic enamel
2. Prismatic enamel
3. Intertubular dentin
4. Intratubular dentin

Correct answer: 2. Prismatic enamel